Knee jerk is an example of:
1. Monosynaptic reflex
2. Polysynaptic reflex
3. Withdrawal reflex
4. None of the above

Correct answer: 1. Monosynaptic reflex

Explanation: The stretch reflex is the best known and studied monosynaptic reflex and is typified by the knee jerk reflex. Ref: Ganong's Review of Medical Physiology 23rd edition, Chapter 9.